Which of the following is the first choice for use in disinfection of large bodies of water?
1. Chlorine gas
2. Chloramine
3. Perchloron
4. Bleaching powder

Correct answer: 1. Chlorine gas

Explanation: For disinfecting large bodies of water, chlorine is applied as chlorine gas, perchloron or chloramine. Among these, chlorine gas is the first choice as it is cheap, quick in action and easy to apply. Ref: Park 21st edition page: 661.